Tumor marker for Breast cancer?
1. CA 15-3
2. CA 19-9
3. CA 125
4. CEA

Correct answer: 1. CA 15-3

Explanation: Tumor MarkersTumor TypesCA-125 Ovarian cancerCA 19-9 Colon and Pancreatic cancerCA 15-3 Breast cancerCEACarcinomas of the colon, pancreas, lung, stomach, and heaRef: Robbins and Cotran Pathologic Basis of Disease; 9th edition; Chapter 7; Neoplasia; Page no:337; Table: 7-12